Loss of tooth surface because of chemomechanical action is known as:
1. Abrasion
2. Erosion
3. Abfraction
4. Attrition

Correct answer: 2. Erosion

Explanation: Dental erosion is defined as irreversible loss of dental hard tissue by a chemical process that does not involve bacteria.